A 68-year-old woman with a history of left ventricular congestive heart failure has had decreased visual acuity for the past 5 years. She has no ocular pain. Her intraocular pressure is normal. Findings on funduscopic examination include arteriolar narrowing, flame-shaped hemorrhages, cotton-wool spots, and hard, waxy exudates. Which of the following underlying diseases is she most likely to have?
1. Advanced atherosclerosis
2. Cerebral edema
3. Diabetes mellitus
4. Hypertension

Correct answer: 4. Hypertension

Explanation: Hypertensive retinopathy results from long-standing hypertension, with progressive changes that begin with generalized narrowing of the arterioles and proceed to the changes seen in this case. The pressure load from systemic hypertension causes hypertrophy and failure of the left side of the heart. Arteriosclerotic retinopathy causes vascular changes, including arteriovenous nicking and hyaline arteriolosclerosis with "copper wire" and "silver wire" arterioles. Cerebral edema may result in papilledema. Various findings are associated with diabetic retinopathy, including capillary microaneurysms, cotton-wool spots, arteriolar hyalinization, and more severe changes of proliferative retinopathy with neovascularization. Retinitis pigmentosa describes a variety of abnormalities that arise as an inherited condition that may begin later in life (but usually earlier) and produce a waxy pallor of the optic disc.